World health day –
1. 7th april
2. 7th July
3. 7th Dec.
4. 7th Feb

Correct answer: 1. 7th april